About autoimmune pancreatitis: a) It is associated with other autoimmune disorders b) Obstructive jaundice is a feature c) Elevated serum IGM 4 is a marker d) Distinct enlargement of the head of pancreas in CT abdomen e) Glucocorticoids are effective in alleviating symptoms
1. b,c,d,e - True & a-False
2. c,d,e-True & a,b-False
3. a,e-True & b,c,d-False
4. a,b,d, e-True & c-False

Correct answer: 4. a,b,d, e-True & c-False

Explanation: Elevated IgG4 is a marker of autoimmune pancreatitis. 50-75 patients presents with obstructive jaundice. Steroids are effective in treatment. CT showed diffuse enlargement, focal enlargement and distinct enlargement of the head of the pancreas. MRCP reveals strictures in the bile duct. Ref: Harrisons , Edition 18 , Page - 2644